Drug of choice for treponema is:
1. Pencillin
2. Tetracycline
3. Azithromycin
4. Doxycycline

Correct answer: 1. Pencillin

Explanation: Pencillin